Which of the following cells predominate on vaginal cytology in menopausal women
1. Intermediate cells
2. Superficial cells
3. Parabasal cells
4. Superficial cells and intermediate cells

Correct answer: 3. Parabasal cells

Explanation: Predominance of parabasal cells is seen in menopausal patients.